Uterine artery is a branch of
1. External iliac artery
2. Anterior division of internal iliac artery
3. Posterior division of internal iliac artery
4. Ovarian artery

Correct answer: 2. Anterior division of internal iliac artery

Explanation: The uterine artery arises from the anterior trunk of the internal iliac (or hypogastric artery). Its course is at first downwards and forwards until it reaches the parametrium when it turns medially towards the uterus. It reaches the uterus at the level of the internal os, where it turns upwards, at right angles, and follows a spiral course along the lateral border of the uterus to the region of the uterine cornua. Here it sends a branch to supply the fallopian tube and ends by anastomosing with the ovarian artery.Reference: Shaw's Textbook of Gynecology; 16th edition; Chapter 1; Anatomy